Polycystic disease of the kidney may have cysts in all of the following organs except -
1. Lung
2. Liver
3. Pancreas
4. Spleen

Correct answer: 1. Lung